Adult IFA tablets contain:-
1. Iron 60mg + F.A. 500mcg
2. Iron 100mg + F.A. 400mcg
3. Iron 100mg + F.A. 500mcg
4. Iron 60mg + F.A. 300mcg

Correct answer: 1. Iron 60mg + F.A. 500mcg

Explanation: IFA TABLETS: Adult IFA tablets contain Iron 60mg + F.A. 500mcg (Red tablet) Pediatric syrup (6m-6y) contain Iron 20mg + F.A. 100 mcg (50 ml Bottle) given biweekly